Earliest sign of rickets is __________
1. Craniotabes
2. Harrisons groove
3. Rachitic rosary
4. Pigeon breast

Correct answer: 1. Craniotabes

Explanation: Most manifestations of rickets are a result of skeletal changes , Craniotabes is a softening of the cranial bones and can be detected by applying pressure at the occiput or over the parietal bones. T he sensation is similar to the feel of pressing into a ping-pong ball and then releasing. Craniotabes may also be secondary to osteogenesis imperfecta, hydrocephalus, and syphilis. Ref.nelson 20th edition page 339 nutrition chapter